Costochondral junction swelling are seen in –
1. Scurvy
2. Rickets.
3. Chondrodystrophy
4. All of the above

Correct answer: 4. All of the above